Basal ganglia consist of all of the following except:
1. Caudate nucleus
2. Putamen
3. Thalamus
4. Globus-pallidus

Correct answer: 3. Thalamus

Explanation: C i.e. Thalmus